Chromophobe variant of Renal cell carcinoma is associated with :
1. VHL gene mutations
2. Trisomy of 7 and 17 (+7, +17)
3. 3 p deletions (3p-)
4. Monosomy of 1 and Y (-1, -Y)

Correct answer: 4. Monosomy of 1 and Y (-1, -Y)

Explanation: Answer is D (Monosomy of 1 and y): Chromophobe variants of renal cell carcinoma are charachterized by widespread / extensive chromosomal losses resulting in monosomy or hypodiploid DNA index. This includes loss of chromosome 1 and V. 'The abnormalities most consistently observed have been multiple losses of whole chromosomes, most frequently 1, 2, 6, 10, 13, 17, 21 and the Y chromosome' - Urological Surgical Pathology Classification of epithelial neoplasms arising from the kidney Carcinoma Type Cell of Origin Cytogenetics Clear cell Proximal tubule 3p deletions (3p-), VI IL gene mutations, 5q gains Papillary Proximal tubule Trisomy of chromosome 7 and 17 (+7, +17) Loss of Y chromosome (-Y) Chromophobe Cortical collecting duct Hypodiploid / Monosomy Loss of multiple chromosomes 1, 2, 6, 10, 13, 17. 21 & Y Oncocytic Cortical collecting duct Undetermined Either karyotypically normal or contain limited number of karyotypic abnormalities including -1, -Y and translocations involving chromosme II Collecting duct Medullary collecting duct Undetermined Losses of multiple chromosomes 1, 6, 14, 15 & 22